True statement regarding direct inguinal hernia -
1. Most common direct inguinal hernia in women
2. Direct hernia medial to inferior epigastric artery
3. Repair of the transversalis fascia and the internal ring
4. Descends downwards and inwards towards the scrotum

Correct answer: 2. Direct hernia medial to inferior epigastric artery